If a biochemical test gives the same reading for a sample on repeated testing. It is inferred that the measurement is-
1. Precise
2. Accurate
3. Specific
4. Sensitive

Correct answer: 1. Precise

Explanation: Ref: Parks 23rd edition pg 138 Precision means that the test must give consistent results when repeated more than once on the same individual or material under the same conditions. A screening test must satisfy the criteria of acceptability, repeatability, and validity, besides others such as yield, simplicity, safety, rapidity, ease of administration and cost.